All of the following statements regarding melioidosis are true, EXCEPT:
1. It is caused by Burkholderia mallei
2. It is caused by a gram negative aerobic bacteria
3. Etiologic agent shows bipolar staining with methylene blue stain
4. Pulmonary infection is the most common form of melioidosis

Correct answer: 1. It is caused by Burkholderia mallei

Explanation: Melioidosis is caused by Burkholderia Pseudomallei. It is a free living small motile aerobic gram negative bacillary saprophyte normally found in soily ponds & rice paddies. Humans and animals are infected by inoculation, inhalation, or ingestion. It grows at 42 degree C & oxidize glucose, lactose & is oxidase positive. It is a facultative intracellular organism which replicates in neutrophils and macrophages with the help of a polysaccharide capsule. The organism also possesses elements of a type III secretion system that plays a role in its intracellular survival. Gram's stain of a specimen shows a small gram negative bacilli. Wright's stain or methylene blue staining shows a bipolar regularly staining (safety pin appearance). Positive culture is diagnostic. Ref: Harrisson's Principles of Internal Medicine, 18th Edition, Chapter 152